Triad of normal pressure hydrocephalus does not include:
1. Ataxia
2. Aphasia
3. Dementia
4. Urinary incontinence

Correct answer: 2. Aphasia

Explanation: Ans. B. AphasiaTriad of NPH does not include aphasia.* The clinical triad of NPH includes- An abnormal gait (ataxic or apractic)- Dementia (usually mild to moderate, with an emphasis on executive impairment)- Urinary urgency or incontinence* Neuroimaging reveals enlarged lateral ventricles (hydrocephalus) with little or no cortical atrophy, although the sylvian fissures may appear propped open (so-called "boxcarring"), which can be mistaken for Peri sylvian atrophy.